Hypertension with hypokalemia and a 7-cm suprarenal mass suggests the diagnosis of
1. Cushing's syndrome
2. Adrenal carcinoma
3. Hpypernephroma
4. Pheochromocytoma

Correct answer: 2. Adrenal carcinoma

Explanation: Adrenocortical carcinoma Adrenocortical carcinoma is a rare tumor More than half of Adrenocortical carcinoma are functional Cushing's syndrome is most commonly seen followed by vitilization Clinical features Almost all cases occur in patients 40-50 years of age No gender predilection More than half of Adrenocortical carcinomas are functional Cushing's syndrome is most commonly seen, followed by vitilization Very large at initial evaluation(mean tumor size, 9-12cm) Metastasis to the lymph nodes, liver and lungs may be found Ref : schwaz's principle of surgery 10th edition Pgno : 1588